The most commonly used drug in the immunosuppression of renal transplant patients is cyclosporine. A major side effect of this drug is:
1. Pancytopenia
2. Constipation
3. Nephrotoxicity
4. Amenorrhea

Correct answer: 3. Nephrotoxicity

Explanation: Ironically, nephrotoxicity is the major problem associated with the use of cyclosporine. Despite this fact, it is the most commonly used immunosuppressive drug in renal transplant patients.